Kartagener’s syndrome is characterized by A/E
1. Situs Solius
2. Dextrocardia
3. Chronic sinusitis
4. Situs inversus

Correct answer: 1. Situs Solius

Explanation: Kartagener's syndrome is characterized bv triad of:-
 Situs inversus
 Chronic sinusitis
Bronchiestasis It is a subset of primary ciliary dyskinesia Primary ciliary dyskinesia
Primary ciliary dyskinesia (PCD, also called the immotile-cilia syndrome) is characterized by congenital impairment of mucociliary clearance (MCC).
 Clinical manifestations include:-
 Chronic cough
 Chronic rhinitis and
Chronic sinusitis
Otitis and otosalpingitis (common in childhood)
 Nasal polyposis and agenesis of the frontal sinuses